A 15 yr old boy suffering from epiliepsy is on treatment with a combination of Phenytoin and Valproate. Both the drugs levels are in the level of therapeutic range. Which of the following is not an adverse effect of Valproate?
1. Weight gain of 5 kg
2. Serum alanine aminotransaminase 150IU/L
3. Rise in serum ammonia level by 20 mcg/dL
4. Lymphadenopathy

Correct answer: 4. Lymphadenopathy

Explanation: Neurologic side effects of valproic acid are ataxia, sedation, tremor and Systemic side effects of valproic acid are hepatotoxicity, thrombocytopenia, gastrointestinal irritation, weight gain, transient alopecia and hyperammonemia. Ref: Harrison's Internal Medicine, 18th Edition, Page 3263 Tables 369-9